SIRS criteria include all except-
1. Oliguria
2. Tachycardia
3. Leucocytosis
4. Leucopen

Correct answer: 1. Oliguria

Explanation: Four SIRS criteria were defined, namely tachycardia (heart rate >90 beats/min), tachypnea (respiratory rate >20 breaths/min), fever or hypothermia (temperature >38 or <36 degC), and leukocytosis, leukopenia, or bandemia (white blood cells >1,200/mm3, <4,000/mm3 or bandemia >=10%). Ref Davidson 23rd edition pg 488b